Candida albicans causes all of the following except
1. Endocarditis
2. Mycetoma
3. Meningitis
4. Oral thrush

Correct answer: 2. Mycetoma

Explanation: Mycetoma is caused by actinomycetes and eumycetes like Madurella mycetoma, M grisea. Candida causes mucocutaneous lesion (oral thrush, vulvovaginitis, balanitis, conjunctivitis, keratitis), skin and nail infection, systemic candidiasis ( UTI, intestinal and pulmonary candidiasis, endocarditis and meningitis) Ref: Textbook of Microbiology, Ananthanarayan and Paniker; 9th edition .